Following are examples of dimorphic fungi, EXCEPT:
1. Coccidioidomycosis
2. Histoplasma
3. Cryptococcus
4. Blastomycosis

Correct answer: 3. Cryptococcus

Explanation: Dimorphic fungi refers to fungi that grow as yeasts or large spherical structures in tissue but as filamentous forms at room temperature in the environment. Examples of dimorphic fungi includes blastomycosis, paracoccidioidomycosis, coccidioidomycosis, histoplasmosis, and sporotrichosis. Yeasts are funguses which are seen as rounded single cells or as budding organisms. Examples includes Candida and Cryptococcus. Molds are those which grow as filamentous forms called hyphae both at room temperature and in invaded tissue. Examples includes Aspergillus, Rhizopus. Superficial mycoses refers to the common fungal infections in the skin and genital tract. Deep or systemic mycoses occur in otherwise healthy people and is caused by dimorphic fungi found in soil, through inhalation. The lungs are the main site of infection. Eg histoplasmosis. Ref: Edwards, J.E. (2012). Chapter 198. Diagnosis and Treatment of Fungal Infections. In D.L. Longo, A.S. Fauci, D.L. Kasper, S.L. Hauser, J.L. Jameson, J. Loscalzo (Eds), Harrison's Principles of Internal Medicine, 18e